Treatment surgery for fissure in ano
1. Lateral sphinterotomy
2. Fissurectrny
3. Seton
4. None

Correct answer: 1. Lateral sphinterotomy

Explanation: Answer- A. Lateral sphinterotomyConservative t/tStool bulking agents and stool softnersNitric oxide or Glyceryl tinitrateDilatation of the sphincter under GAlaterd anal sphincterotomy - the intetnal sphincter is divided away from the ssure itself - usually either in the rigltt or the left lateral positionAnal advancement flap